The afferent pathway for light pupillary reflex is:
1. Trigeminal nerve
2. Optic nerve
3. Abducent nerve
4. Ciliary nerve

Correct answer: 2. Optic nerve

Explanation: B i.e. Optic nerve